Dinner fork deformity is seen in ?
1. Colle's fracture
2. March fracture
3. Lateral condyle fracture
4. Supracondylar fracture

Correct answer: 1. Colle's fracture

Explanation: Dinner fork deformity is seen in Colles fracture. Colles fracture is the fracture at the distal end of radius at cortico cancellous junction, in adults, with typical displacement.commonest fracture of people above 40. It nearly always result from fracture on outstretched hands. C/f: The patient presents with pain, swelling and deformity of wrist.on examination tenderness and irregularity of lower end of radius is found. There may be typical dinner fork deformity. The radial styloid process comes to lie at the same level or a little higher than ulnar styloid process. Ref: Essential Orthopaedics, Maheswari & Mhaskar, 9th ed ,